Prudent diet is:
1. Diet for dietary goal achievement
2. Diet, which contains variety of foods to safe guard from deficiencies
3. on which a person or group lives
4. Diet, which fulfills recommended daily allowances

Correct answer: 1. Diet for dietary goal achievement

Explanation: (Diet for dietary goal achievement) Prudent diet is diet developed by National nutrition and food policy for achievement of "dietary goal". The Prudent diet recommended by WHO is: * Dietary fat < 20-30 % of total daily intake * Saturated fat <10% of total energy intake. * Avoid excessive consumption of refined carbohydrates. * Energy rich sources (fat and alcohol) restricted. * Salt intake should not be more than 5gm per day. * Proteins should be 15 to 20% of daily intake. * Junk foods should be reduced.